Ovarian fossa is formed by all except
1. Obliterated umbilical artery
2. Internal iliac artery
3. Ureter
4. Round ligament of ovary

Correct answer: 4. Round ligament of ovary

Explanation: Each ovary lies in the ovarian fossa on the lateral pelvic wall. Bounderies of ovarian fossa - anteriorly - By the obliterated umbilical artery; and posteriorly - By the ureter and the internal iliac artery Ref : B D Chaurasia's Human Anatomy , seventh edition , volume 2 , pg. no. 414